Criteria to discharge a patient for dengue hemorrhage fever include:
1. Urine output >200 ml/day
2. After 24 hours fever controlled on paracetamol
3. After return of appetite
4. 24 hours after control of shock

Correct answer: 3. After return of appetite

Explanation: Ans. (C) 24 hours after control of shock(Ref: Park Text Book of Preventive and Social Medicine 25th Ed; Page No- 277)Criteria for Discharge of PatientsAbsence of fever at least 24 hours without the use of anti- fever therapy.No respiratory distress from pleural effusion or ascitesReturn of appetiteGood urine outputPlatelet count > 50, 000/mm3Minimum of 2 to 3 days after recovery from shockVisible clinical improvement